Psychoanalysis was founded by which of the following scientist -
1. Eysenck
2. Freud
3. Jung
4. Adler

Correct answer: 2. Freud

Explanation: The credit for invention of psychoanalysis belong to Sigmund Freud.